Suprarenal gland develops from ?
1. Metanephros
2. Ureteric bud
3. Neural crest
4. Endodern

Correct answer: 3. Neural crest

Explanation: Ans. is 'c' i.e., Neural crest Suprarenal (adrenal) gland consists two part : i) Superficial cortex : Derived from coelomic epithelium (mesodermal). ii) Deepar medulla : Derived from neural crest (ectodermal).